Which of the following test is positive in Anterior dislocation of shoulder?
1. Thomas test
2. Barlow's test
3. McMurry's test
4. Duga's test

Correct answer: 4. Duga's test

Explanation: • The following signs, associated with anterior dislocation of shoulder.
 
Duga's test
 
Hamilton ruler test
 
Caliway's test